Burkitt's lymphoma is positive for-
1. CD5
2. CD 15
3. CD 20
4. CD 25

Correct answer: 3. CD 20

Explanation: Burkitt lymphomas are tumours of mature B cells that express surface IgM, CD19, CD20, CD10 and BCL6 ,a phenotype consistent with a germinal centre B cell origin. Reference : Robbins and Cotran Pathologic basis of disease.South Asia Edition volume 1.page no. 597